Drugs used in treatment of acute gout
1. Allopurinol
2. Colchicine
3. Pamidronate
4. Methotrexate

Correct answer: 2. Colchicine

Explanation: Ans. is 'b' i.e., Colchicine Management of gout Treatment of acute gout To provide rapid and safe pain relief Drugs used are : i) NSAIDse: These are the most frequently used drugs to treat gout because they are so well tolerated. Indomethacin is the agent of choice but other NSAIDs may be just as effective. Aspirin is usually avoided because low doses of aspirin aggravate hyperuricemia. ii) Cokhicinee: Colchicine is effective but less well tolerated than NSAIDs iii) Glucocoicoidse: Usually reserved for patients in whom colchicines or NSAIDs are contraindicated or ineffective. Treatment of chronic gout (maintain serum urate levels at 5.0 mg/dl or less) Allopurino12: Xanthine oxidase inhibitor Agent of choice for most patients with gout Uricosuric agents Probenecid0 SulfinpyrazoneQ